Cozen test is done for?
1. Little leaguer's elbow
2. Tennis elbow
3. Golfers elbow
4. Frozen shoulder

Correct answer: 2. Tennis elbow

Explanation: ANSWER: (B) Tennis elbowREF: Apley's system 8th e p. 310-11Tennis tendinitis:Chronic tendinitis of common extensor originCozen test - active extension of wrist against resistance produces pain at point of common extensor origin.